Which of the following aid in the killing of intracellular bacteria?
1. Histamine
2. Interleukin-2
3. Catalase
4. Lysozyme

Correct answer: 4. Lysozyme

Explanation: Bacteria that are phagocytosed by macrophages are kept in membrane-bound vacuoles called phagosomes. A phagosome will fuse with a lysosome, which contains many degradative enzymes, including lysozyme.